Nonselective reversible a receptor blocker among the following is
1. Phenoxybenzamine
2. Phentolamine
3. Prazosin
4. Terazosin

Correct answer: 2. Phentolamine

Explanation: Nonselective irreversible a receptor blocker Phenoxybenzamine Nonselective reversible a receptor blocker Phentolamine Selective a receptor blocker Prazosin Terazosin Doxazosin